All of the following are true about the structure of bases found in nucleotides, EXCEPT
1. Purine ring is nine-membered
2. Pyrimidine ring is six-membered
3. Purine and pyrimidine rings are heterocyclic in nature
4. Imino and lactim form of purine bases are more stable

Correct answer: 4. Imino and lactim form of purine bases are more stable

Explanation: Purine and Pyrimidine Purines and pyrimidines are nitrogen-containing heterocycles Purines and pyrimidines exhibit tautomerism. The oxo and amino groups of purines and pyrimidines exhibit keto-enol and amine-imine tautomerism. Physiologic conditions strongly favour the amino and oxo forms. Purine - 9 membered ring Pyrimidine - 6 membered ring